Non-motile bacteria include?
1. Salmonella
2. Klebsiella
3. Citrobacter
4. Escherichia

Correct answer: 2. Klebsiella

Explanation: Klebsiella: This genus consist of non-motile capsulated rods that grow well on ordinary media forming large dome-shaped mucoid colonies of varying degrees of sickness Page no 290 Salmonella : Salmonella is Gram-negative. They are motile with peritrichous flagella. They do not have capsule or spores but may possess fimbria Page no 274 Escherichia is a gram-negative straight rod arranged singly or in pairs, it is motile by peritrichous flagella though some m strains may be nonmotile. Capsule and fimbriae are found in some strains. and spores are not formed Page no 280 Citrobacter is motile bacillus which utilizes its flagella Ref: Ananthanarayan And Paniker's Textbook of microbiology Page no 280